Succinyichoiine causes hyperkalemia in patients with -
1. Bum
2. Severe infection
3. High velocity trauma
4. All of the above

Correct answer: 4. All of the above

Explanation: Ans. is 'd' i.e., All of the above o Succinylcholine can cause dangerous hyperkalemia in patients with : -# Burn# Rhabdomyolysis# Massive trauma# Severe Parkinsonism# Crush injury# Tetanus# Severe intra-abdominal infection# Polyneuropathy# Spinal cord injury# Closed head injury# Hemiplegia/Paraplegia# Stroke# Muscular dystrophy# Encephalitis# GB syndrome# Mysthenia gravis